Muscle relaxant of choice in a patient with serum bilirubin 6mg/dl and serum creatinine of 4.5mg/dl
1. Vecuronium
2. Atracurium
3. Pancuronium
4. Mivacurium

Correct answer: 2. Atracurium

Explanation: Refer KDT 7th, /353 Atracurium is eliminated by Hoffman's elimination. It means it neither require liver for metabolism nor kidney for excretion. It's molecules spontaneously reaarnge to make it reactivity. Thus it safest muscle relaxed in a patient on a patient with liver and kidney disease